Birth is to registered within -
1. 7 days
2. 14 days
3. 21 days
4. 30 days

Correct answer: 3. 21 days